Viviparous parasite:
1. Trichuris trichura
2. Wuchereria bancrofti
3. Tenia saginata
4. Necator americans

Correct answer: 2. Wuchereria bancrofti

Explanation: Ans. B. Wuchereria bancrofti. (Ref. Bailey and Love 26th/pg. 930) The viviparous nematode Wucheria bancrofti, whose only host is man, is responsible for 90 per cent of filariasis cases and is spread by the mosquito. Name of parasite Habitat in human host Status of young Transmission Ascaris lumbricoides GI tract Oviparous Direct Wuchereria bancrofti, B. malayi Lymphatics Viviparous By mosquitoes 0. volvulus Subcutaneous tissues Viviparous By black flies Strongyloides stercoralis GI tract Ovo-viviparous Direct Hookworms GI tract Oviparous Direct Enterobiasis vermicularis GI tract Oviparous Direct Trichuris trichura GI tract Oviparous Direct Trichinella spiralis GI tract muscle Viviparous Direct Dracunculus medinensis Subcutaneous tissue Viviparous In intermediate host Loaloa Subcutaneous tissue Viviparous Bites of vector flies